UMN palsy is characterized by all except
1. Spasticity
2. Exaggerated tendon reflexes
3. Fasciculations
4. Extensor plantar response

Correct answer: 3. Fasciculations

Explanation: Fasciculations are feature of LMN palsy